True about Cryptococcus neoformans is A/E:
1. Capsule excludes India ink particles
2. Common in immunocompromised patient
3. Anti-capsular antibody prevents recurrence
4. Strongly positive Mucicarmine stain of the organism in tissue is useful

Correct answer: 3. Anti-capsular antibody prevents recurrence

Explanation: Cryptococcal gelatinous capsule stains bright pink with mucicarmine stain and discriminates the organism from histoplasma and blastomycosis. India ink stain particles are extruded by the gelatinous capsule and hence only the background is stained. In cryptococcal meningitis, CSF examination reveals evidence of chronic meningitis with mononuclear cell pleocytosis and increased protein levels. Cryptococcal antigen (CRAg) detection in CSF and blood is based on serologic detection of cryptococcal polysaccharide and is both sensitive and specific. Cryptococcus neoformans :Common in immunocompromised patient